Post operative shivering is treated with:
1. Diazepam
2. Antihistaminics
3. Anticholinergics
4. Pethidine

Correct answer: 4. Pethidine

Explanation: Ans: (Pethidine) Ref: Miller's Anesthesia, 7th edn. and InternetExplanation:Post Operative ShiveringIt is commonly seen (incidence - 3.5%) due to fall in core temperature.Risk factors as:Age > b yearsProlonged duration of surgeryUse of an intravenous induction agentIt is also commonly seen after halothane anaesthesia.Intravenous pethidine (0.35 - 0.5 mg/kg) and elonidine (1.5 mcg/kg) has been widely studied in adults. Therefore, it has become most recommended treatment options in children.A single intravenous dose of dexmedetomidine (0.5 mcg/kg) has been found to be as effective as pethidine in controlling shivering.Oxygen therapy and forced air warming of the child.